Following are complications of chicken pox except –
1. Meningitis
2. Pneumonia
3. Enteritis
4. Reyes Syndrome

Correct answer: 3. Enteritis